Correlation between two variables is plotted in-
1. Pie chart
2. Histogram
3. Frequency polygon
4. Scatter diagram

Correct answer: 4. Scatter diagram

Explanation: Ans. is 6d' i.e., Scatter diagram DataMethodFrequency of occurrence (comparisons of magnitude)Bar Chart Pie chartTrends over timeLine graphDistribution (not related to time)Histogram, Frequency polygonAssociation(Looking for correlation between two variables)Scatter diagram